Clinical features of T.B. Spine are AJE -
1. Loss of lordosis
2. Night sweats
3. Weight gain
4. Evening rise of temperature

Correct answer: 3. Weight gain

Explanation: There is weight loss (not gain).



The presenting complains are : -


Back pain : Commonest and earliest symptom. Initially, pain occurs on the sudden movement of the spine.
The stiffness of back : Is also an early symptom and occur along with pain.
Visible deformity: Gibbus or Kyphosis



Localized swelling : Due to cold abscess
 


Paraplagia : In neglected cases
Constitutional symptoms : Evening fever, loss of appetite, night sweat, loss of weight.


On examination, following findings may be seen : -


Decreased range of motion.
Local tenderness : Over the spinous process of an affected vertebra.
Deformity : -


Cervical spine : - Straight neck with loss of cervical lordosis.


Thoracic : - Gibbus/kyphosis
Lumbar : - Loss of lumbar lordosis

       iv) Para-vertebral swelling : - Cold abscess